Azidothymidine (Zidovudine), commonest side effect is
1. Hyperuricemia
2. Pancreatitis
3. Peripheral neuropathy
4. Macrocytic anaemia

Correct answer: 4. Macrocytic anaemia

Explanation: Ans. is 'd' i.e., Macrocytic anaemia "The most common adverse effect of zidovudine is myelosuppression, resulting in macrocytic anemia (1-4%) or neutropenia (2-8%)". So most common side effect of zidovudine is neutropenia (2-8%) followed by macrocytic anemia (1-4%). Other side effects are - nausea, anorexia, headache, insomnia, abdominal pain, myalgia, malaise, fatigue, myopathy, lactic acidosis, hepatomegaly with steatosis, convulsions and encephalopathy.